Empyma is a term given for
1. Collection of pus in the tissue spaces
2. Collection of blood in the tissue spaces
3. Collection of air in the tissue spaces
4. Collection of serous fluid in the tissue spaces

Correct answer: 1. Collection of pus in the tissue spaces